True regarding Sjogren's syndrome are all of the following except:
1. Autoimmune condition
2. Males are commonly affected
3. Progressive destruction of lacrimal and salivary gland
4. No single laboratory investigation is pathognomonic

Correct answer: 2. Males are commonly affected

Explanation: Ans. (b) Males are commonly affectedRef: Bailey 261e p737Sjogren's Syndrome:* Most common in women* Chronic disease characterized by dry eyes, dry mouth (xerostomia) due to immunological destruction of Lacrimal and Salivary glands* Rheumatoid arthritis is commonly associated.* Characterized by lymphocytic infiltration of salivary and lacrimal glands.* Antibodies - SS-A and SS-B are seen in 90%* Parotid enlargement is seen in >50% cases* Lip biopsy is used to diagnose this syndrome (by examining minor salivary glands)